Marshall's triad is seen in:
1. Explosive injury
2. Gunshot injury
3. Drowning injury
4. Lightning injury

Correct answer: 1. Explosive injury

Explanation: Ans. Explosive injury